Sentinel surveillance is done for:
1. Missed cases
2. Subclinical case
3. Index cases
4. Prodromal infection cases

Correct answer: 1. Missed cases

Explanation: Ans. A i.e. Missed cases